Simian crease is seen in:
1. Down's syndrome
2. Trisomy of chromosome No.13
3. Cri-du-chat syndrome
4. All of the above

Correct answer: 4. All of the above

Explanation: Simian crease is an older name for a condition now more commonly called single transverse palmar crease. It refers to a single crease across the palm of the hand. In most individuals, there are two slightly oﬀset creases across the palm. Simian crease is seen in:

Down's syndrome
Trisomy of chromosome No.13 
Cri-du-chat syndrome